Which of the following is/are X ray feature/s of perthes disease?
1. Increased medial joint space
2. Metaphyseal cysts and rarefaction
3. Lateral extrusion of femur head
4. All the above

Correct answer: 4. All the above

Explanation: Answer- D. All the aboveRadiological findings in perthe's disease are :-Increased meilial joint spaceWidening offemoral neckLateral extrusion (lateral subluxation)Metaphyseal cysts and rarefaction of metaphysisHorizontal physis with speckled calcification lateral to itFragmentation of femoral head with increased density (irregular densities in the epiphysis)